Onion peeling of renal vessels is seen in
1. Malignant Hypertension
2. SLE
3. Diabetic nephropathy
4. Renal artery stenosis

Correct answer: 1. Malignant Hypertension

Explanation: In cases of malignant Hypertension, Concentric hyperplasia of smooth muscles will give rise to onion peel appearance.